All of the following statements regarding Craniopharyngiomas are true, except :
1. Arise from Rathke's pouch
2. Can cause visual disturbances
3. Presents with hypopituitarism in adults
4. Usually Infrasellar in location

Correct answer: 4. Usually Infrasellar in location

Explanation: Cranipharyngiomas are suprasellar partially calcified benign tumors that arise from remnants of Rathke's pouch. It usually presents with headache, visual impairment, impaired growth in children and hypopituitarism in adults. Treatment modalities includes surgery, radiotherapy or both. Reference: Harrison's Principles of Internal Medicine 18th edition chapter 379.